Cataract is cases of diabetes mellitus is due to accumulation of ?
1. Glycated crytallins
2. Calcified crystallins
3. Glycated fibrillins
4. Calcified fibrillins

Correct answer: 1. Glycated crytallins

Explanation: Ans. is 'a' i.e., Glycated crytallins Diabetic cataract Senile cataract tends to develop at an earlier age and more rapidly than usual in diabetic subjects. The lenses of an adult diabetic are said to be in the same condition as a non-diabetic who is 15 years older. In diabetic adults, coin- pared to non-diabetics, cataracts are more prevalent, are dependent on the duration of diabetes and progress more rapidly. The mechanisms are believed to be glycation, carbamylation of crystallins and increased oxidative damage. True diabetic cataract is a rare condition occurring typi- cally in young people in whom the diabetes is so acute as to disturb grossly the water balance of the body. A large number of fluid vacuoles appear under the anterior -td posterior parts of the capsule, initially manifesting as myopia and then producing a diffuse opacity which at this stage is reversible. The lens then rapidly becomes cataractous, with dense, white subcapsular opacities in the anterior and posterior cortex resembling a snowstorm- 'snowflake' cataract. Fine, needle-shaped polychromatic cortical opacities may also form. With appropriate treatment to control hyperglycaemia, the rapid progression to mature cataract may be arrested at this stage.